True about leukemia in Down's syndrome is
1. Acute leukemia less common than gen population
2. AML more common than ALL
3. Prog in AML is better than gen population
4. If diagnosed with ALL, should be given higher doses of methotrexate

Correct answer: 3. Prog in AML is better than gen population

Explanation: In this group of patients, the reported event-free survival rates have ranged from 80 to 100%. On the other hand, the outcome of Down syndrome children with acute lymphoblasticleukemia (ALL) has been historically considered worse than the outcome of ALL patients withoutDown syndrom Ref ganong's review of medical physiology 25e